TRH stimulation testing is useful in diagnosis of disorders of following hormones?
1. PTH
2. Insulin
3. ACTH
4. Growth hormone

Correct answer: 4. Growth hormone

Explanation: Thyrotropin releasing hormone stimulates the release of TSH, GH and prolactin. Patients with acromegaly shows a rise in serum growth hormone levels following an injection of TRH. TRH stimulation test is also used to monitor the therapeutic response of patients with acromegaly to trans sphenoidal surgery, pituitary radiation, or somatostatin analog treatment. Increase in growth hormone following injection of TRH is also seen in patients with depression, chronic renal failure and cirrhosis. Ref: Principles and Practice of Endocrinology and Metabolism By Kenneth L. Becker, Page 165; Diagnostic Function Tests in Chemical Pathology By P. T. Lascelles, Page 144; Textbook Of Pharmacology By Seth, 3rd Edition, Page 8; The Pituitary By Shlomo Melmed, 3rd Edition, Page 316; Endocrinology: Basic and Clinical Principles By Shlomo melmed, 2nd Edition, Page 181